Pathological gambling is included in DSM 5 under
1. impulse control disorder
2. obsessive compulsive disorder
3. substance use disorder
4. shared psychotic disorder

Correct answer: 3. substance use disorder

Explanation: GAMBLING DISORDER * IMPORTANCE===Newly classified in DSM 5 substance use and addictive disorders * MAIN CHARECTERSTICS==Lying to conceal the extent of involvement of gambling * Commission of illegal acts to finance gambling Reliance on others to pay off debts Ref. Kaplon and sadock, synopsis of psychiatry, 11 th edition, pg no.690